Which of the following is not used in post-exposure prophylaxis for HIV?
1. Zidovudine + Laniivudine
2. Nelfinavir
3. Stavudine + Didanosine
4. Acyclovir

Correct answer: 4. Acyclovir

Explanation: Acyclovir is a potent and selective inhibitor of the replication of certain Herpes viruses, including HSV types 1 and 2, VZV, EBVOther drugs given in the question are antiretroviral drugs used in HIV(Ref: KD Tripathi 6/e p776)